Activated pantothenic acid is found in the following:
1. GMP
2. Coenzyme-A
3. G-6-P-D dihydrogenase
4. For carboxylation

Correct answer: 2. Coenzyme-A

Explanation: Pantothenic acid has a central role in acyl group metabolism when acting as the pantetheine functional moiety of coenzyme A or acyl carrier protein (ACP). The pantetheine moiety is formed after combination of pantothenate with cysteine, which provides the -SH prosthetic group of CoA and ACP. CoA takes part in reactions of the citric acid cycle, fatty acid oxidation, acetylations, and cholesterol synthesis. Ref: Bender D.A. (2011). Chapter 44. Micronutrients: Vitamins & Minerals. In D.A. Bender, K.M. Botham, P.A. Weil, P.J. Kennelly, R.K. Murray, V.W. Rodwell (Eds), Harper's Illustrated Biochemistry, 29e.